"Water can perineum" is caused by:
1. E. coli
2. Enterococcus faecalis
3. Neisseria-gonorrhoeae
4. Treponemia pallidium

Correct answer: 3. Neisseria-gonorrhoeae

Explanation: (Neisseria gonorrhoeae): Ref: 227-AN 7th, 266-CPNeisseria gonorrhoeae: - The predominant manifestation in men is urethritis characterized by dysuria and a spontaneous purulent penile discharge. Chronic urethritis may lead to stricture formation. The infection may spread to the periurethral tissues, causing abscesses and multiple discharging sinuses (water can perineum)PATHOGENICITYA. Local diseaseB. Disseminated gonococcal infection1. Urethritis2. Cervicitis - only half may have symptoms of d ischarge and dysuria* Vulvovagiinitis - in prepubertal girls* Septic arthritis* Skin lesion* Tenosynovitis* Endocarditis* Osteomyelitis* Meningitis }RareComplications* PID* Anorectal gonorrhoea* Pharyngeal gonorrhoea* Ophthalmia neonatorum* Perihepatitis (Fitz Hugh Curtis syndrome)